Drug of choice for drug induced parkinsonism?
1. Levodopa
2. Anticholinergic
3. Selegiline
4. Carbidopa

Correct answer: 2. Anticholinergic

Explanation: Ans is 'b' i.e., Anticholinergic "Central anticholinergics are the only drugs effective in drug induced parkinsonism." o They act by reducing unbalanced cholinergic activity in the striatum of parkinsonism patients. Generally, tremor is benifited more than rigidity; hypokinesia is affected the least (Levodopa resolves hypokinesia and rigidity first and later tremor). Trihexyphenidyl (benzhexol) is the most commonly used anticholinergic in parkinsonism.